Dissociative anaesthesia is produced by -
1. Ketamine
2. Etomidate
3. Propofol
4. Thiopentone

Correct answer: 1. Ketamine

Explanation: Ans. is 'a' i.e., Ketamine o Dissociative anaesthesia is characterized by profound analgesia, immobility, amnesia with light sleep and feeling of dissociation from once own body and the surroundings Cataleptic state,o Ketamine (phencyclidine) induces dissociative anaesthesia.